The initial rapid bone resorption in apical periodontitis can be prevented by the administration of
1. Acetaminophen
2. Ibuprofen
3. Aspirin
4. Indomethacin

Correct answer: 4. Indomethacin